Which of the following is aldosterone antagonist?
1. Eplerenone
2. Deoxicorticosterone
3. Fenoldopam
4. Frusemide

Correct answer: 1. Eplerenone

Explanation: Ans. a (Eplerenone) (Ref. KDT 5th/pg. 534; Katzung 9th/pg. Chapter 11)Eplerenone is a new, selective mineralocorticoid receptor antagonist without clinically significant androgen receptorblocking or progesterone receptor stimulating activities, which translates into absence of gynecomastia and impotence inmen and of menstrual irregularity in women. It is approved in treatment of hypertension.Mineralocorticoid receptors are expressed in many tissues, including:# Kidney,# Colon,# Heart,# Central nervous system (hippocampus),# Brown adipose tissue and# Sweat glands (not in liver).Educational points:# Lithium & demeclocyline are ADH antagonists.